All are true about serous cystadenoma of the ovary except
1. Bilateral
2. Unilateral
3. Concentric calcification
4. Multiloculated, sticky, gelatinous fluid

Correct answer: 4. Multiloculated, sticky, gelatinous fluid

Explanation: Ans. is d, i.e. Multiloculated, sticky, gelatinous fluidRef: Shaw 15th/ed, p374; Dutta Gynae 5th/ed, p282Serous cystadenoma:* Most common of cystic neoplasms.* It accounts for 50% of all ovarian tumors, of these 60% are benign, 15% are borderline, 25% of malignant.* Occur in 3rd, 4th and 5th decade of life.* Half cases are bilateral (option "a" and "b" are true)It is a unilocular cyst.* Delicate papillary excrescences may be seen on the surface and within the loculi of a benign cyst.* Histologically - the benign variety shows cystic spaces and the lining of the tumor consists of tall columnar ciliated epithelium resembling the endosalpinx.* The loculi contain a thin serous straw coloured fluid, which may be blood stained when malignant transformation occurs.Rate of malignant transformation-40%* Option "d" (Dutta Gynae, 5/e, p 282): Mucinous cystadenoma have glistening surface and cut surface shows loculi filled with mucinous material. The content is thick, viscid, and mucin. The cyst is frequently multiloculated.